Ursodeoxycholic acid is a :
1. Urinary stone dissolving drug
2. Thrombolytic drug
3. Gall stone dissolving drug
4. Antifibrinolytic

Correct answer: 3. Gall stone dissolving drug

Explanation: • Medical therapy for gallstones utilizes bile acids: Chenodeoxycholic acid (CDCA) and Ursodeoxycholic acid (UDCA)
Mechanism of Action
• They inhibit HMG-CoA reductase, the rate limiting enzyme for cholesterol synthesis, thus decreases cholesterol saturation of bile
• They cause dispersion of the cholesterol from the stones by physico-chemical means